Influenza virus culture is done on ?
1. Chorioallantoic membrane
2. Allantoic cavity
3. Yolk sac
4. All

Correct answer: 2. Allantoic cavity

Explanation: Ans. is b i.e., Allantoic cavity In embryonated egg cultivation for influenza virus site of inoculation are :- Allontoic cavity or amniotic cavity Inoculation sites in embryonated eggs Chorioallantoic membrane -4 HSV, Poxvirus, Rous-sarcoma virus Amniotic cavity -4 Influenza virus, mumps virus Allantoic cavity - Influenza virus, mumps virus, an adenovirus, newcastle disease virus Yolk sac --> HSV, chlamydia, rickettisia